Periphery of retina is best visualized with the following method:
1. Direct ophthalmoscopy
2. Indirect ophthalmoscopy
3. Retinoscopy
4. USG

Correct answer: 2. Indirect ophthalmoscopy

Explanation: Advantages of indirect ophthalmoscopy: The brighter light source that permits much better visualization through cloudy media. By using both eyes, the examiner enjoys a stereoscopic view, allowing visualization of elevated masses or retinal detachment in three dimensions. It can be used to examine the entire retina, even out to its extreme periphery, the ora serrata. Ref: Chang D.F. (2011). Chapter 2. Ophthalmologic Examination. In P. Riordan-Eva, E.T. Cunningham, Jr. (Eds), Vaughan & Asbury's General Ophthalmology, 18e.